The parotid duct opens in the oral cavity opposite to the level of:
1. Crown of upper First molar tooth
2. Crown of lower First molar tooth
3. Crown of upper second molar tooth
4. Crown of lower second molar tooth

Correct answer: 3. Crown of upper second molar tooth

Explanation: Ans. C. Crown of upper second molar tooth. (Ref. BD Chaurasia, Anatomy, 3rd/Vol III - 110).Parotid duct opens into the vestibule of mouth opposite the crown of upper Second molar tooth. Submandibular duct opens on the floor of mouth, on summit of sublingual papilla, at the sides of frenulum of tongue. Both these ducts are 5 cm in length. About 15 ducts emerge from sublingual gland; most of them open directly into the floor of mouth on the summit of sublingual fold and a few join submandibular ducts.Q.Ans.1 The parotid (Stensen's) duct opens intraorally?Opposite the second upper molar.2 The parotid acinar cells are?Serous cells3 The sublingual acinar cells are?Mucous cells.4 The submandibular acinar cells are?Both serous and mucous types.5 The submandibular gland (Wharton) duct opens?Intra-orally lateral to the lingual frenulum on the floor of the mouth.6 The sublingual gland has approximately 10 small ducts that exit through the superior aspect of the gland to open?Intraorally along the sublingual fold.7 Saliva is formed by the salivary gland acinar cells and modified by the ductal cells into:Hypotonic fluid.